During an outbreak of meningitis at a local college, a 20-year-old student presents to a hospital emergency department complaining of headache, fever, chills, and stiff neck. On examination, it appears that he may have meningitis and needs a lumbar puncture or a spinal tap. Cerebrospinal fluid (CSF) is normally withdrawn from which of the following spaces?,
1. Epidural space
2. Subdural space
3. Space between the spinal cord and the pia mater
4. Subarachnoid space

Correct answer: 4. Subarachnoid space

Explanation: Cerebrospinal fluid (CSF) is found in the subarachnoid space, which is a wide interval between the arachnoid layer and the pia mater. The epidural space contains the internal vertebral venous plexus and epidural fat. The subdural space between the arachnoid and the dura contains a little fluid to moisten the meningeal surface. The pia mater closely covers the spinal cord and enmeshes blood vessels on the surfaces of the spinal cord.